A 25yr old male presented to OPD with complain of recurrent oral ulcers and congested eyesOn enquiry he has h/o prior hospital admission for venous thrombosis What is the condition he is suffering from
1. SLE
2. Reiter's syndrome
3. BEHCETS DISEASE
4. Wegner's Granulomatous

Correct answer: 3. BEHCETS DISEASE

Explanation: Behcet's Disease: A delay in the diagnosis of Behcet's disease is common. Knowing what to look for can help you take control of the disease Eye Inflammation -Occurs in more than 50% of patients and can result in blurry vision, sensitivity to light pain and redness. Can lead to blindness if untreated. Mouth Sores - One of the most common and earliest signs . Look like canker sores on lips , tongue, cheek lining or the roof the mouth. Skin Sores Occur in 60-90% of patients. Can look like bumps resembling acne anywhere on the skin or as red, tender nodules on the legs, arms, face and neck. Genital Sores Appear in about 75% of people. Tend to be larger and deeper than oral sores and often scar. Joint Pain & Swelling - Arthritis or spondylitis affect 50% of patients. Can affect an individual or multiple joints, causing pain, swelling, and stiffness. REF : HARRISONS 21ST ED